Keratin is a ?
1. Globular protein
2. Cylindrical protein
3. Fibrous protein
4. None of the above

Correct answer: 3. Fibrous protein

Explanation: Ans. is 'c' i.e., Fibrous proteinBased on their three-dimensional shape (i.e., conformation), the proteins are divided into two classes :Fibrous proteins : - The polypeptide chains extend along a longitudinal axis without showing any sharp bends, giving them rod or needle like elongated shape. Most of the structural proteins are fibrous proteins, e.g., collagen, elastin, and keratin. Fibrous proteins centrifuge more rapidly because of their rod like shape.Globular proteins : - The polypeptide chains are tightly folded and packed into compact structure giving spherical or oval shape. Most enzymes, tranpo proteins (albumin, globulins), hemoglobin, myoglobin, antibodies and hormones are globular proteins.